Who wrote the classic paper A Proposed Mechanism of Emotion that describes a major pathway of the limbic system?
1. Brodmann
2. Kluver and Bucy
3. Liepmann
4. Papez

Correct answer: 4. Papez

Explanation: Papez circuit is hippocampal formation - mamillary body - anterior thalamic nucleus - cingulate gyrus - entorhinal cortex - hippocampal formation. Kluver-Bucy syndrome is characterized by placidity, hypersexuality, hyperphagia, and psychic blindness (visual agnosia). Liepmann is known for his classic book on ataxias. Brodmann is known for his brain maps, called the Brodmann areas.